TIPS means creating anastomosis between which of the following
1. Portal vein and hepatic artery
2. Portal vein and IVC
3. Portal vein and hepatic vein
4. Hepatic vein and hepatic artery

Correct answer: 3. Portal vein and hepatic vein

Explanation: TIPS TIPSS is a non selective shunt created between portal and hepatic vein TIPSS is a Porto hepatic or intrahepatic shunt TIPSS is the acute situation should be avoided in patients requiring ventilation and with evidence of sepsis and renal failure Technique of placement Initial venous access is through the right jugular vein because this is the shortest and most direct path to catheterize the hepatic veins Right hepatic vein is most commonly used because it is the largest hepatic vein and usually has the most favourable orientation Portal vein is cannulated by Rosch needle Portal vein is localised by carbon dioxide wedge hepatic venography Portal venogram before dilating parenchyma tract is crucial, provides confirmation that portal vein has been accessed Ref: Sabiston 20th edition Pgno : 1439